Progesterone of choice in Emergency contraception is-
1. Norgesterone
2. Micronized progesterone
3. Levonorgestrel
4. DMPA

Correct answer: 3. Levonorgestrel

Explanation: Emergency contraception: - Aka intraceptive/ post-coital contraception - Methods of emergency contraception:- - Combined OCPs within 72hrs of unprotected intercourse - POPs within 72hrs of unprotected intercourse - Recommended in RCH LNG -based progesterone product is used for emergency contraception. It is used as 1 tablet of 0.75 mg within 72 hrs of unprotected sex and second tablet after 12hrs of first dose - IUD within 5 days - most effective method - Contraindicated in nulliparous - RU-486(mifepristone)- within 72 hrs - High dose estrogen- within 5 days